Xanthine Oxidase is associated with which co-factor:
1. Zinc
2. Copper
3. Selenium
4. Molybdenum

Correct answer: 4. Molybdenum

Explanation: Glutathione peroxidase contains selenium.Xanthine oxidase is large protein, having a molecular weight of 270,000, and has 2 flavin molecules (bound as FAD), 2 molybdenum atoms and 8 iron atoms bound per enzymatic unit.The molybdenum atoms are contained as molybdopterin cofactors and are the active sites of the enzyme.The iron atoms are part of (2Fe-2S) ferredoxin iron-sulfur clusters and participate in electron transfer reactions